True statement regarding diptheria is :
1. It can be diagnosed by demonstration of antibodies by ELISA
2. Immunization prevents carriers state
3. Treatment of contacts is not indicated
4. Iron has critical value in the production of toxin

Correct answer: 4. Iron has critical value in the production of toxin

Explanation: Diagnosis of Diptheria
i. Isolation by culture :
Swabs are inoculated on :
– Loeffler’s serum slope (growth is rapid) : for rapid diagnosis.
– Tellurite blood agar (growth is delayed but it is particularly important in isolation of bacilli from convalescent, contacts, carriers) : Selective media.
– Blood agar (for differentiating staphylococcal and streptococal pharyngitis). convalescent, contacts, carriers) : Selective media.
– Blood agar (for differentiating staphylococcal and streptococal pharyngitis).
ii. Demonstration of toxicity of isolated strain :
In vivo test – done by infected broth emulsion of culture subacutaneously and intracutaneously into guinea pigs.
In vitro test – Elek’s gel precipitation test and tissue culture test on agar overlay of cell culture monolayer.
Control of Diptheria
i. Cases – Antitoxin + penicillin or erythromycin
Park 19/e, p 137
ii. Carriers – Erythromycin
iii. Contacts –
a. When primary immunization or booster dose was received within the previous 2 years.

No further treatment.

b. When primary immunization or booster dose was received more than 2 years ago.

Only a booster dose of diphtheria toxoid.

c. Non immunized close contacts :

Prophylatic penicillin or erythromycin
1000 - 2000 units of diphtheria antitoxin
Active immunization against diphtheria.

iv. Community – Only effective control is by active immunization with diphtheria toxoid of all infants with subsequent booster doses every 10 years thereafter.
Remember : Vaccine ‘being a toxoid’ is not directed against organism and hence immunization does not prevent carrier state which is due to organism not due to toxin.